The opacity in ceramics is achieved by adding:
1. Boric oxide
2. Copper oxide
3. Silica
4. Titanium oxide

Correct answer: 4. Titanium oxide